Which of the following is true about fourth heart sound 'S4' :
1. Can be heard by the unaided ear
2. Frequency is greater than 20 Hz
3. Heard during ventricular filling phase
4. Heard during ventricular ejection phase

Correct answer: 3. Heard during ventricular filling phase

Explanation: C i.e. Heard during ventricular filling It is a low pitched presystolic sound which can almost never be heard with a stethoscope (& ear) because of its weakness and very low frequency - usually 520 cycles/ second (1-1,)Q. It is caused by in thrushing of blood into ventricles (ventricular fillingQ, which initiates vibration) when the atria contractsQ. S4, sometime becomes audible, when atrial pressure is very high or ventricle is stiff (diminished ventricular compliance) increasing the resistance to normal filling. When audible it is best heard with bell of stethescope, at left ventricular apex in left lateral position and accentuated by exercise (isotonic or isometric) in the supine position. Pathologically S4 may be seen in Pulmonary stenosis & hypertension (right S4) Aortic stenosis & systemic hypertension Ischemic heart disease - HOCM - Mitral regurgitation Advanced age (physiological) Feature 1st heart sound 2" heart sound 3rd heat sound 4th heart sound Character Low pitched (frequency) slightly prolonged "lub" Shorter high pitched "dup" Soft low pitched weak rumbling Arterial heart sound Duration 0.14 second 0.11 sec 0.1 sec ? Frequency 25-45 Hz 50 Hz < 20 HzQ Cause Sudden closure of mitral & tricuspid valves Closure of aortic & pulmonary valves Rapid ventricular fillingQ d/t inthrushing of blood from atria Ventricular fillingQ d/t atrial contraction causing inthrushing of blood Timing Start of ventricular systole Just after end of ventricular systole Begining of middle third of diastole Immediately before 1st heart sound (presystolic) Heard Si & S2 can be heard with stethoscope S3 & S4 can not be heard by stethoscope (ear)Q. S3 oftenly and Sa sometimes can be recorded in phonocardiorgam